Non-invasive prenatal screening (NIPS) is particularly useful in the modern era of diagnosis in clinical genetics. Which of the following statements is not true regarding this test?
1. Useful in screening for aneuploidies
2. Evaluates maternal blood for abnormalities
3. HIgh positive predictive value
4. Positive test need confirmation by invasive testing

Correct answer: 3. HIgh positive predictive value

Explanation: Non-invasive prenatal screening (NIPS) has a high negative predictive value. NIPS: Useful in screening high-risk pregnancies for aneuploidies Done after 10 weeks of gestation Evaluates maternal blood for screening Positive tests need confirmation by invasive testing (like amniocentesis, Chorionic villous sampling) Ref: Ghai essential pediatrics 9th edition Pgno: 643